Hoffman degradation is seen in which muscle relaxant?
1. Atracurium
2. Succinylcholine
3. Gallamine
4. Pancuronium

Correct answer: 1. Atracurium

Explanation: ANSWER: (A) AtracuriumREF: Lee synopsis of anesthesia 12th e p. 215Muscle relaxantRoute of eliminationPancuronium, Vecuronium, RapacuroniumLiverVecuronium, RocuroniumBiliarySch, MivacuriumPseudocholinesteraseGallamine, MetocurineRenalAtracurium, cis-atracuriumHoffman's elimination